Patients with both Graves' disease and Cushing syndrome are overproducing hormones that have which one of the following in common?
1. Reacting with receptors in the cell membrane
2. Utilizing second messengers
3. Binding to intracellular receptors
4. Binding to RNA to produce physiologically active proteins

Correct answer: 3. Binding to intracellular receptors

Explanation: Graves' disease is caused by the hypersecretion of thyroid hormone, whereas Cushing syndrome is an overproduction of cortisol. Steroid hormones and thyroid hormones cross the cell membrane and bind to intracellular receptors. The hormone-receptor complex binds to DNA, not RNA. Polypeptide hormones and epinephrine react with the receptors in the cell membrane, triggering second messengers to transmit the signal that the receptor is occupied. Ribosomal RNA (rRNA) does not ablate gene expression; the induction of miRNA has that ability.